Which branch of subclavian artery directly contributes to scapular anastomosis:
1. Vertebral
2. Internal thoracic
3. Thyrocervical truck
4. Dorsal scapular

Correct answer: 4. Dorsal scapular

Explanation: d) Dorsal scapular > c) Thyrocervical truck Dorsal scapular artery is a direct branch from subclavian artery participating in scapular anastomosis. Thyrocervical trunk do not participate in scapular anastomosis directly. It gives branches (like suprascapular artery and sometime dorsal scapular artery) to contribute to scapular anastomosis.Note: Dorsal scapular artery is usually a branch of third part of subclavian artery. Sometime it may be given by 1st part of subclavian artery ( 1st part of subclavian artery - Thyrocervical trunk - transverse cervical artery - Dorsal scapular artery).